Air under central tendon of diaphragm is
1. Air under diaphragm sign
2. Cupola sign
3. Doges cap sign
4. Falciform ligament sign

Correct answer: 2. Cupola sign

Explanation: The 'Cupola sign' is seen on a supine chest/abdominal radiograph in the presence of pneumoperitoneum. It refers to non-dependent gas that rises within the abdominal cavity of the supine patient to accumulate underneath the central tendon of the diaphragm in the midline.